Which of the following nerve is not a branch of lumbar plexus?
1. Obturator nerve
2. Femoral nerve
3. Sciatic nerve
4. Lateral cutaneous nerve of thigh

Correct answer: 3. Sciatic nerve

Explanation: The lumbar plexus is formed by ventral ranmi of L1, L2, L3, and part of L4. These rami divide into dorsal and ventral divisions. From ventral division of these rami arise ilioinguinal(L1), genitofemoral(L1, L2), obturator (L2, L3, L4), accessory obturator (L3, L4) nerves. The dorsal divisions of these rami give rise to lateral cutaneous nerve of thigh(L2, L3), femoral nerve (L2, L3, L4). Iliohypogastric contains fibres of both ventral and dorsal divisions. Ref: Chaurasia's Human Anatomy 6th edition. Pg:441,442.